All are nucleosides used in the treatment of chronic HBV, EXCEPT:
1. Lamivudine
2. Telbivudine
3. Emtricitabine
4. Ribavirin

Correct answer: 4. Ribavirin

Explanation: Seven drugs are available for the treatment of chronic hepatitis B: Conventional interferon alpha, Pegylated interferon alpha L-nucleosides (lamivudine, telbivudine, and emtricitabine), Deoxyguanosine Analogs (entecavir) and Acyclic nucleoside phosphonates (adefovir and tenofovir). Ribavirin is used to treat chronic HCV Ref: Journal of Hepatology 50 (2009) 227-242.